Which of the following is a killed vaccine?
1. Rabies
2. Yellow fever
3. Rota virus
4. Small pox

Correct answer: 1. Rabies

Explanation: LIVE KILLED TOXOID CONJUGATED RECOMBINANT Small pox Chicken Pox Influenza Virus Diptheria HaemophilusInfluenza Human papilloma virus vaccine, 4 capsid proteins Rota Virus Polio Pertussis Pneumococcus Polio Hepatitis A Virus Hepatitis B Measles Pertussis Mumps Rubella Influenza Yellow Fever Ref : Ananthanarayana textbook of Microbiology 9th edition Pgno : 83